Pulsus Bigeminus is seen in therapy with -
1. Beta blockers
2. ACE inhibitors
3. Digitalis
4. Calcium channel blockers

Correct answer: 3. Digitalis

Explanation: Pulsus Bigeminus is recognized as a cause of digitalis toxicity.
Pulsus Bigeminus is a disorder of rhythm (irregular rhythm; arrhythmia) most commonly caused by Premature Ventricular Contracons that results in a pulse with irregular rhythm that alternates in amplitude (pressure) from beat to beat.
The most common cause of Pulsus Bigeminus is Digitalis and Pulsus Bigeminus is recognized as a cause of digitalis toxicity